Birth weight of all 10 babies born in a nursing home on a day was 2.7 kg. Standard deviation is -
1. 0
2. 1
3. 0.27
4. 2.7

Correct answer: 1. 0

Explanation: Ans. is 'a' i.e., 0.00 o This question is very simple.o Standard deviation is a measure of dispersion from central value.o In the question, there is only one central value (2.7 Kg) as all 10 babies have same weight. Thus, there is no dispersion.o Also, you can get the answerMean= 2.7+2.7+2.7+2.7+2.7+2.7+2.7+2.7+2.7+2.7=2.710(x-x)=2.7-2.7 = 0o Thus SD is Zero.